A patient presents with B/L proptosis, heat intolerance and palpitations; most likely diagnosis here would be:
1. Hashimoto's thyroiditis
2. Thyroid adenoma
3. Diffuse thyroid goitre
4. Reidel's thyroiditis

Correct answer: 3. Diffuse thyroid goitre

Explanation: In the above scenario, the patient exhibit the symptoms of hyperthyroidism. Only diffuse thyroid goitre shows hyperthyroidism here, all others are state of hypothyroidism. Ref: In a Page Surgery By Scott Kahan, John J. Raves, 2003, Page 99.